Lens sutures are formed in
1. Foetal nucleus
2. Embryonic nucleus
3. Infantile nucleus
4. Adult nucleus

Correct answer: 1. Foetal nucleus

Explanation: Development of Lens Surface ectoderm Classification of nucleus formed during lens development Embryonic (0-3 months) Fetal (3 months to gestation) Infantile (from birth to puberty) Adult (adult life) Sutures Seen in fetal nucleus Anterior Y shaped Posterior inverted Y shaped